Axillary nerve supplies:
1. Deltoid + Teres major
2. Deltoid + Teres minor
3. T. major + T. minor
4. Corachobrachialis + Short head of biceps

Correct answer: 2. Deltoid + Teres minor

Explanation: B i.e. Deltoid + Teres minor